Which of the following is not a pyrimidine base?
1. Cytosine
2. Uracil
3. Guanine
4. Thymine

Correct answer: 3. Guanine

Explanation: Guanine is a purine base Ref-Harpers illustrated biochemistry 30/e p329